Which type of anemia is seen in patients of rheumatoid arthritis?
1. Normocytic and hypochromic anemia
2. Normocytic and normochromic anemia
3. Macrocytic anemia
4. Sideroblastic anemia

Correct answer: 2. Normocytic and normochromic anemia

Explanation: Rheumatoid arthritis is a chronic inflammatory condition of joints. Anemia of chronic inflammation is found in RA. Majority have normocytic normochromic anemia. A small subset may have microcytic hypochromic anemia.